Side effects of isoniazid are all EXCEPT ?
1. Hepatitis
2. Optic neuritis
3. Peripheral Neuropathy
4. Thrombocytopenia

Correct answer: 4. Thrombocytopenia

Explanation: Ans. is 'd' i.e., Thrombocytopenia Adverse effects of INH -Peripheral neuritis (most common), hepatitis, optic neuritis & atrophy, seizure, ataxia, muscle twitching, toxic encephalopathy, psychoses, rashes, fever, arthralgia, acne, lupus like syndrome, hemolytic anemia in G6PD deficiency. Note: Most common antitubercular drug which is implicated in causing peripheral neuropathy is INH.